Which of the following cannot be cultured in Sabouraud's agar
1. Blastomyces
2. Coccidioides
3. Sporotrichum
4. Rhinosporidium seeberi

Correct answer: 4. Rhinosporidium seeberi

Explanation: Rhinosporidium has not been cultivated. The mycelial phase of Blastomyces develops on SDA. Coccidioides - SDA medium- ahrospores in a chain are found. Sporothrix schenckii - SDA - mycelial phase at 25C. Reference: Textbook of Microbiology; Baveja; 4th edition